Juvenile court deals with cases of children upto the age of:
1. 15 years
2. 16 years
3. 18 years
4. 21 years

Correct answer: 3. 18 years

Explanation: Ans. 18 years